Intracranial pressure is increased by which of the following inducing agent:
1. Thiopentone
2. Ketamine
3. Etomidate
4. Propofol

Correct answer: 2. Ketamine

Explanation: Ketamine